Earliest change in high altitude is:
1. Hyperventilation
2. Decrease in work capacity
3. Drowsiness
4. Polycythemia

Correct answer: 1. Hyperventilation

Explanation: Ans. A. HyperventilationEffect of decreased Barometric pressure due to increasing (high)altitude Lead to PO2 a. At 3000m (10,000 feet) -- Po is 60mmHg (above the sea level) Hypoxic stimulation of chemo receptors es ventilation (Hyper ventilation) of all in arterial PCO2 --Respiratory alkalosisb. Acute Hypoxic symptoms -Acute mountain sickness in unacclimatized persons: -i. At 3700m (12000 feet) symptoms: irritability, drowsiness, lassitude, mental and muscle fatigue.ii. Above 18,000 feet seizuresiii. Above 23,000 feet (consciousness lost)c. Delayed effects of high altitude -This syndrome develops 8-24 hours after arrival and last 4-8 days. It is C/B: -i. Headache, irritability, insomnia, breathlessness and nausea and vomiting.ii. Cause cerebral edema due to arteriolar dilationiii. T/t for Alkalosis Acetazolamide and for cerebral edema gluco-corticoidsiv. High altitude pulmonary edema is a serious form of mountain sickness pulmonary edema